The risk of endometrial cancer is highest with the following histological pattern of endometrial hyperplasia :
1. Simple hyperplasia without atypia
2. Simple hyperplasia with atypia
3. Complex hyperplasia without atypia
4. Complex hyperplasia with atypia

Correct answer: 4. Complex hyperplasia with atypia

Explanation: Risk of endometrial cancer Simple hyperplasia without atypia: 1% Complex hyperplasia without atypia: 3% Simple hyperplasia with atypia: 8% Complex hyperplasia with atypia: 29%